Which of the following is an antipsychotic drug?
1. Flupenthixol
2. Rasagiline
3. Clobazam
4. Divalproex

Correct answer: 1. Flupenthixol

Explanation: Ans. is 'a' i.e., Flupenthixol